Drug of choice for UTI caused by pseudomonas is
1. Amoxicillin
2. Amoxiclav
3. Ciprofloxacin
4. Cefixime

Correct answer: 3. Ciprofloxacin